Commonest functional tumor of pituitary gland is?
1. Gonodotroponoma
2. ACTH secreting tumour
3. TSH secreting tumour
4. Prolactinoma

Correct answer: 4. Prolactinoma

Explanation: ANSWER: (D) ProlactinomaREF: Sabiston textbook of surgery, 18th ed, chapter 72Pituitary adenomas arise primarily from the anterior pituitary gland and are classified as either functional (secreting) or nonfunctional (non-secreting) tumors, with the former presentingearlier with symptoms caused by physiologic effects and the latter presenting when of sufficient size to cause neurologic deficits by mass effect on the chiasm with consequent bitemporal hemianopsia.Tumors smaller than 1 cm in diameter are called microadenomas, and the rest are considered macroadenomas; 50% of pituitary tumors are smaller than 5 mm at the time of diagnosis. Their incidence is increased in multiple endocrine neoplasias. They occur commonly in the third and fourth decades of life and affect both sexes equally"The most common functional tumor is the prolactinoma, which causes amenorrhea and galactorrhoea in women"